Transverse mesocolon contains which of the following artery?
1. Left colic artery
2. Right colic artery
3. Middle colic artery
4. Ileocolic artery

Correct answer: 3. Middle colic artery

Explanation: Transverse mesocolon contains middle colic arteryTransverse MesocolonPeritoneal fold suspending transverse colon from the posterior abdominal wallAttachment of root of transverse mesocolon: anterior surface of head & anterior border of the body of the pancreasContents: middle colic vessels, ascending branches of the right and left colic vessels; nerves & lymphatic's of the transverse colon